Most common site of intra peritoneal abscess is
1. Right superior intra peritoneal space
2. Left superior intra peritoneal space
3. Right inferior intra peritoneal space
4. Left inferior intra peritoneal space

Correct answer: 3. Right inferior intra peritoneal space

Explanation: Most common site of abscess in lying and dependent positive - Right inferior intra peritoneal space.